The vertebral artery traverses all of the following except -
1. Foramen magnum
2. Subarachnoid space
3. Intervertebral foramen
4. Foramen transversarium

Correct answer: 3. Intervertebral foramen

Explanation: Vertebral artery traverses through vertebral triangle, foramina transversaria of upper 6 cervical vertebrae, suboccipital triangle, posterior atlantooccipital membrane, vertebral canal, pierce duramater and arachnoid (subarachnoid) and passes through foramen magnum to enter posterior cranial fossa (skull).